Which cephalosporin has anti-pseuomona action:
1. Ceftriaxone
2. Cefaclor
3. Cefotaxime
4. Cefoperazone

Correct answer: 4. Cefoperazone